A 28-year-old lady has put on weight (10 kg over a period of 3 years) and has oligomenorrhoea followed by amenorrhoea for 8 months. The blood pressure is 160/100 mm of Hg. Which of the following is the most appropriate investigation?
1. Serum electrolytes
2. Plasma cortisol
3. Plasma testosterone and ultrasound
4. T3, T4 and TSH

Correct answer: 2. Plasma cortisol

Explanation: Weight gain + Oligomenorrhea --->Cushing syndrome. Cortisol inhibits gonadotropin release that explains the amenorrhea. Hypertension in these patients is secondary to increased cortisol that has some mineralocorticoid activity also. Excess glucocorticoids also interfere with central regulatory systems, leading to suppression of gonadotropins with subsequent hypogonadism and amenorrhea, and suppression of the hypothalamic pituitary-thyroid axis, resulting in decreased TSH (thyroid-stimulating hormone) secretion. Weight gain + menorrhagia + isolated diastolic hypertension in the question would have prompted thyroid dysfunction as the first answer.